True about critical path method are all except
1. Network analysis
2. Longest path
3. Cannot be delayed
4. Shortest path

Correct answer: 4. Shortest path

Explanation: Ans. is 'd' i.e., Shortest path Network analysis A network analysis is a graphic of all events and activities to be completed in order to reach an end objective. It brings greater discipline in planning. The two common types of network technique are : a) Programme Evaluation and Review technique (PERT) b) Critical Path method (CPM) Programme Evaluation and Review technique (PERT) PERT is a management technique which makes possible more detailed planing and more comprehensive supervision. PERT is method to analyze the involved tasks in completing a given project, especially the time needed to complete each task, and identifying the minimum time needed to complete the total project. The essence of PERT is to construct an arrow diagram, which represents the logical sequence in which events must take place. It is possible with such a diagram to calculate the time by which each activity must be completed, and to identify those activities that are critical. Critical path method (CPM) The longest path of the network is called the critical path. Critical path method determines the activities of a project which are critical and are given longest path. Other activities are total float, i.e. they can be delayed without making the project longer. Any delay in activity on the critical path results in delay of the project. o In the above figure, the longest path is from equipment ordered to equipment installed. That means, this is the critical path and installating of equiment is the most critical step (taking 10 months). o Other activities are total float, i.e. they can be delayed for sometimes without delaying the project.